Which of the following is contraindication for use of ECT?
1. Pheochromocytoma
2. Catatonic schizophrenia
3. Mania
4. Schizophrenia

Correct answer: 1. Pheochromocytoma

Explanation: Ans. A. PheochromocytomaELECTROCONVULSIVE THERAPY (ECT)* The most effective treatment for Depression, but the least used* Used also for treatment of Schizophrenia* Induction of Seizures is needed for the effectiveness of ECTIndications:* Patients, who are extremely suicidal* Patients, who have not responded to ADs or Mood Stabilizers* Patients with contraindications to using Medication* Depressive Patients who have responded well to ECT in the pastSide Effects* Transient memory disturbance* Transiently increased intracranial pressure (ICP)Contraindications* Absolute contraindication:- None* Relative contraindications:- Raised intracranial tension,- Recent myocardial infarction, Severe hypertension- Cerebrovascular accident, Severe pulmonary disease- Retinal detachment, Pheochromocytoma